Most specific diagnostic finding in gout is -
1. Uric acid crystals in urine
2. Raised serum uric acid
3. Presence of calcium pyrophosphate crystals in synovial fluid
4. Presence of monosdium crystals in synovial fluid

Correct answer: 4. Presence of monosdium crystals in synovial fluid

Explanation: The diagnosis of gout can be confirmed by the identification of urate crystals in the aspirate from a joint, bursa or tophus . In acute gout, the synovial fluid may beturbid due to an elevated neutrophil count. In chronic gout, the appearance is more variable but occasionally the fluid appears white due to the presence of urate crystals. Between attacks, aspiration of an asymptomatic first MTP joint or knee may still reveal crystals. Ref Davidsons 23e p1015